A 6 year old boy has been complaining of headache, ignoring to see the objects on the sides for four months. On examination, he is not mentally retarded, his grades at school are good, and visual acuity is diminished in both the eyes. Visual charting showed significant field defect. CT scan of the head showed suprasellar mass with calcification. Which of the following is the most probable diagnosis?
1. Astrocytoma
2. Craniopharyngioma
3. Pituitary adenoma
4. Meningioma

Correct answer: 2. Craniopharyngioma

Explanation: Answer is B (Craniopharygioma): Presence of headache, visual field defects and suprasellar calcification suggests a diagnosis of suprasellar neoplastic lesions. The most common suprasellar neoplastic lesion in children (6 years) associated with suprasellar calcification is craniopharyngioma which is the single best answer of choice.